A pharmaceutical agent that has been developed specifically to treat a rare medical condition (affecting fewer than 200,000 people):
1. Orphan Drug
2. Primary Drug
3. Rare Drug
4. Pioneer Drug

Correct answer: 1. Orphan Drug

Explanation: An orphan drug is a pharmaceutical agent that has been developed specifically to treat a rare medical condition (affecting fewer than 200,000 people).